Molecular death is:
1. Complete and irreversible cessation of brain, heart and lungs function
2. Death of individual tissues and cells after somatic death
3. Total loss of EEG activity, but heart is functioning
4. Vitals functions are at low pitch that cannot be detected by clinical examination

Correct answer: 2. Death of individual tissues and cells after somatic death

Explanation: Ans. Death of individual tissues and cells after somatic death